Hyperaldosteronism causes all except:
1. Hypernatremia
2. Hypokalemia
3. Hypertension
4. Metabolic acidosis

Correct answer: 4. Metabolic acidosis

Explanation: Aldosterone enhances reabsorption of Na and water in the distal convoluted tubule. Their is associated increase in K and Hydrogen ions. Hypokalemia and alkalosis occur. (REF.Essential of medical pharmacology K D TRIPATHI 6 Edition, Page No - 277)